RBC casts are found in -a) DMb) Wegeners Granulomatosisc) SLEd) Ankylosing spondylitise) Acute glomerulonephritis
1. ab
2. bc
3. acd
4. bce

Correct answer: 4. bce